Rate limiting enzyme in fatty acid synthesis ?
1. PDH dehydrogenase
2. Malonyl reductase
3. Acetyl CoA carboxylase
4. Transacetylase

Correct answer: 3. Acetyl CoA carboxylase

Explanation: Ans. is 'c' i.e., Acetyl CoA carboxylase